Dendrites on the cornea may be seen with.
1. Staphylococcal keratitis
2. Pseudomonas keratitis
3. HSV keratitis
4. Acanthamoeba keratitis

Correct answer: 3. HSV keratitis

Explanation: Ans. (c) HSV keratitis.